A 40-year-old hypertensive male was admitted to the hospital with sudden onset of headache and altered sensorium. On Examinatiion, his blood pressure was observed to be 220/110 mm Hg and the patient died four hours later. What is likely pathological finding in his kidneys -
1. Small kidney with granular surface
2. Small kidney with petechial haemorrhages
3. Large kidney with waxy appearance
4. Large kidney with granular surface

Correct answer: 2. Small kidney with petechial haemorrhages